Occluding both common carotid arteries proximal to carotid sinus results in
1. Increase in BP, increase in HR
2. Decrease in BP, decrease in HR
3. Increase in BP, decrease in HR
4. Decrease in BP, increase in HR

Correct answer: 1. Increase in BP, increase in HR